Oblique facial cleft results due to:
1. Improper fusion between maxillary and Lateral nasal process
2. Improper fusion between maxillary and Medial nasal process
3. Improper fusion between frontonasal and Mandibular process
4. Improper fusion between maxillary and Mandibular process

Correct answer: 1. Improper fusion between maxillary and Lateral nasal process